Preferential expression of the gene depending upon the parent of origin is called
1. A. Genomic imprinting
2. B. Mosaicism
3. C. Alleles
4. D. Chimerin

Correct answer: 1. A. Genomic imprinting

Explanation: Imprinting involves transcriptional silencing of the paternal or maternal copies of certain genes during gametogenesis. For such genes, only one functional copy exists in the individual. Loss of functional alleles by deletion gives rise to diseases Refer robbins 172